AG2P1+0 at 36 weeks of gestation has a H/0 prior still birth at 37 weeks. The best time of delivery for the patient this time is:
1. Immediately
2. 37 weeks
3. 38 weeks
4. 39 weeks

Correct answer: 4. 39 weeks

Explanation: In females with a previous history of still birth Deliver is done at 39 weeks either by induction or cesarean section irrespective of the gestational age at which still birth occurred Ref: Williams Obs 24 e pg 666.